Lepromin test is positive in
1. Lepromatous leprosy
2. Indeterminate leprosy
3. Tuberculoid leprosy
4. Histoid leprosy

Correct answer: 3. Tuberculoid leprosy

Explanation: Lepromin test: skin test used to know prognosis. Not a diagnostic of leprosy helpful to classify type of leprosy. Positive in tuberculoid, borderline tuberculoid leprosy negative in lepromatous, borderline lepromatous and mid-borderline leprosy. iadvl textbook of dermatology page 2061